During cardiopulmonary resuscitation, cardiac massage is given over:
1. Upper third of sternum
2. Mid third of sternum
3. Lower third of sternum
4. Precordium

Correct answer: 3. Lower third of sternum

Explanation: Ans- C Lower third of sternum Ref- Ref- Seek out your local CPR training center to get a hands on class to better learn CPR and watch for changes in CPR within the next year or two. Adult Child Infant Hand Position 2 hands center of chest, lower half of breast bone 2 hands center of chest, lower half of breast bone 2-3 fingers in the center of the chest, lower half of the breast bone Compression Depth At least 2" About 2" About 1 1/2 " Breathing Look for Chest RiseDeliver breaths over 1 second Look for Chest RiseDeliver breaths over 1 second Look for Chest RiseDeliver breaths over 1 second Compressions to Breaths 30:2 30:2 30:2 Compression Rate 100/minute 100/minute 100/minute GENERAL CONCEPTS Main Components of CPR (C - A - B) - Compressions - Airway - Breathing High-Quality CPR: - Start compressions within 10 seconds of recognition of cardiac arrest - Chest compression rate of 100 - 120 per minute - Compression depth of 2 - 2.4 in. (5-6 cm.) for adults and children - Compression depth of 1.5 in. (4 cm.) for infants - Minimize interruptions in compressions - Do not over-ventilate the victim - Breathing rate is every 5 - 6 seconds (10 - 12 breaths per minute) - Allow complete chest recoil after each compression - Do not lean on chest wall between compressions Adult Chain of Survival - IHCA (In-Hospital Cardiac Arrest) Adult Chain of Survival - OHCA (Out-of-Hospital Cardiac Arrest) Pediatric Chain of Survival BLS FOR ADULTS One-Rescuer BLS Steps for Adults Two-Rescuer BLS Steps for Adults Steps for Performing CPR for Adults BLS / CPR FOR CHILDREN One-Rescuer BLS Steps for Children Two-Rescuer BLS Steps for Children Steps for Performing CPR for Children BLS / CPR FOR INFANTS One-Rescuer BLS Steps for Infants Two-Rescuer BLS Steps for Infants Steps for Performing CPR for Infants BLS ALGORITHMS AED USAGE Steps for Using an AED 1.) Open AED case and turn the device ON 2.) Expose the victim's chest 3.) Attach AED pads to victim's chest 4.) Do not touch the victim when AED is ANALYZING 5.) Before delivering SHOCK, make sure the victim's chest is clear, no one is touching the victim, and the area around the victim is clear. 6.) Press the SHOCK button 7.) Resume CPR for 2 minutes 8.) Repeat cycle of: CPR - analyzing - shock if indicated - CPR AED Usage Points of Emphasis - Do not place the pads over a pacemaker or an implantable cardioverter defibrillator - Remove the victim from water and dry the chest before applying pads - Excessive hair will impede pad contact. Quickly remove the pad and replace with a new set to ensure adequate contact with the chest wall - Remove any medication patches from the chest - Make sure the pads do not touch each other - If the device malfunctions, do not troubleshoot. Return immediately to high-quality CPR CPR WITH AN ADVANCED AIRWAY Airway Equipment Options - Supraglottic Devices - Laryngeal Mask Airway - Combitube - Endotracheal Tube MOUTH-TO-MOUTH BREATHING Steps For Adult and Child Mouth-to-Mouth Steps For Infant Mouth-to-Mouth CHOKING RELIEF Heimlich Maneuver Steps 1.) Stand behind the victim 2.) Wrap arms behind victim and place fist of one hand below victim's rib cage just above bellybutton 3.) Grasp fist with the other hand 4.) Quickly pull inward and upward 5.) Continue until choking is relieved or victim becomes unconscious Abdominal Thrust Steps 1.) Straddle knees on either side of the victim's hips 2.) Place heel of one hand above the navel, but below breast bone 3.) Quickly press inward and upward 4.) Continue until obstruction is relieved or victim becomes unconscious Back Blows and Chest Thrust Steps (for Infant Victims) 1.) Rest infant facedown on your forearm 2.) Support their head and face with your hand 3.) Deliver 5 back blows between the shoulder blades 4.) Turn the victim over and support the back of their head 5.) Use 2 fingers and deliver 5 chest thrusts over the sternum 6.) Repeat back blows, alternated with chest thrusts, until choking is relieved or the infant becomes unresponsive COMMON ABBREVIATIONS TO KNOW AED | Automated external defibrillator AHA | American Heart Association BLS | Basic life support BP | Blood pressure CAB | Circulation, airway, breathing CPR | Cardiopulmonary resuscitation EMS | Emergency medical services ET | Endotracheal ICU | Intensive care unit IHCA | In-hospital cardiac arrest IN | Intranasal IM | Intramuscular IO | Intraosseous IV | Intravenous LMA | Laryngeal Mask Airway LV | Left ventricle OHCA | Out-of-hospital cardiac arrest PAD | Public Access Defibrillation PEA | Pulseless electrical activity pVT | Pulseless ventricular tachycardia ROSC | Return of spontaneous circulation RV | Right ventricle VF / V-Fib | Ventricular fibrillation VT | Ventricular tachycardia